All are true about transvaginal USG except ?
1. Bladder should be full
2. Bladder should be empty
3. Consent is mandatory
4. None of the above

Correct answer: 1. Bladder should be full

Explanation: Ans. is'a'i.e., Bladder should be fullTransvaginal sonography is best performed with an empty bladder, which enables the pelvic organs to reach a closer proximity to the tip of the high-frequency transvaginal probe.On the other hand, transabdominal sonography is done with fuIl bladder to get an overview of anatomy.